Most common form of glomerulonephritis worldwide is?
1. IgA nephropathy
2. Post streptococcal glomerulonephritis
3. Rapidly progressive glomerulonephritis
4. Acute glomerulonephritis

Correct answer: 1. IgA nephropathy

Explanation: Most Common GN - IgA nephropathy / Berger disease (MC C/F - gross Microscope Hematuria) Most Common Nephrotic overall - FSGS Most Common Nephrotic in adult - FSGS Most Common Nephrotic in Children - Minimal Changes disease Most Common Nephrotic in elderly - MGN